Which is not 1st rank symptom of Schizophrenia:
1. Audible thoughts
2. Voices commenting
3. Perplexity
4. Thought broadcasting

Correct answer: 3. Perplexity

Explanation: Ans: C (Perplexlly) Table: First Rank Symptoms (SFRS) of SchizophreniaFirst-rank symptoms# Audible thoughts# Voices arguing or discussing or both# Voices commenting # Somatic passivity experiences# Thought withdrawal and other experiences of influenced thought# Thought broadcasting# Delusional perceptions# All other experiences involving volition made affects, and made impulsesSecond-rank symptoms# Other disorders of perception Sudden delusional ideas # Perplexity# Depressive and euphoric mood changes Feelings of emotional impoverishmentTable: First Rank Symptoms (SFRS) of Schizophrenia1. Audible thoughts: Voices speaking out thoughts aloud or "thought echo'2. Voices heard arguing: Two or more hallucinatory voices discussion the subject in third person3. Voices commenting on one's action4. Thought withdrawal: Thoughts cease and subject experiences them are removed by an external force by some external force on person's passive mind.5. Thought diffusion or broadcasting: Experience of imposed.6. Thought diffusion or broadcasting: Experience of thoughts escaping the confines of seif and as being experienced by others around.7. 'Made'feeling or affectS. 'Made' impulses9. 'Made' volition or acts: in 'made" affect, impulses and volitions, the person experiences feelings, impulses or acts which are imposed by some externa! force, in 'made'volition, for example, one's own acts are experienced as being under the control of some external force.10. Somatic passivity: Bodily sensations especially sensory' symptoms are experiences as imposed on body by some external force.11. Delusion perception: Normal perception has a private and illogical meaning,